Which among the following is present only in iv (intravenous) form -
1. Vancomycin
2. Meropenem
3. Streptomycin
4. All of the above

Correct answer: 2. Meropenem

Explanation: Ans. is 'b' i.e., meropenam o Meropenem is given intravenously.o Vancomycin is used intravenously for all infections, except for pseudomembranous colitis, where it is used by oral route.o Streptomycin is administered by intramuscular route.